Occulomoter nerve palsy affects all of the following muscles, EXCEPT :
1. Medial rectus
2. Inferior oblique
3. Lateral rectus
4. Levetor pelpabrae superioris

Correct answer: 3. Lateral rectus

Explanation: C i.e. Lateral rectus